When the height and taper of the preparation are same, which of the following provides better resistance
1. Large diameter molar
2. Small diameter molar
3. Large diameter premolar
4. Small diameter premolar

Correct answer: 4. Small diameter premolar